Following complications occurs commonly in Colle's fracture EXCEPT:
1. Malunion
2. Shoulder stiffness
3. Carpal tunnel syndrome
4. Delayed union

Correct answer: 4. Delayed union

Explanation: Ans. D i.e. Delayed union